Vonebners glands open into which papilla:
1. Foliate
2. Filiform
3. Circumvallate
4. Fungiform

Correct answer: 3. Circumvallate